All the following are examples of Health promotion except
1. Stop smoking
2. Installation of sanitary latrine
3. Chemoprophylaxis
4. Decreased salt intake

Correct answer: 3. Chemoprophylaxis

Explanation: - Primary prevention can be defined as "action taken prior to the onset of disease, which removes the possibility that a diseasewill ever occur". - It includes Health promotion & Specific protection. Chemoprophylaxis/ vaccines falls under Specific protection. Decreased salt intake, stop smoking, installation of sanitary latrine comes under Health promotion. LEVELS OF PREVENTION: Primordial prevention Prevention of emergence of development of risk factors Done by health education. Primary prevention Action taken prior to the onset of disease Done by health promotion & specific protection. Secondary prevention Action which halts the progress of a disease Done by early diagnosis & treatment Tertiary prevention Action taken during the progression/ end of disease Done by diability limitation & rehabilitation.